which of the following is a type of narcisstic personlaity disorder
1. considers themselves as special
2. cold and excentric
3. dependent on others
4. shy

Correct answer: 1. considers themselves as special

Explanation: * NARCISSISTIC PERSONALITY DISORDER * grandiose sense of self-importance * preoccupation with fantasies of unlimited success * exhibitionistic need for constant attention and admiration * anger or humiliation in response to criticism * taking advantage of other people * lack of empathy Ref.Kaplon and Sadock, synopsis of psychiatry, 11 th edition, pg no.745Regards self as "special